A patient comes to medical attention after he sets off the metal detector at the airport, despite removing his watch, belt buckle, and every other obvious source of metal. Which of the following diseases might be responsible for this phenomenon?
1. Argyria
2. Gallstones
3. Hemochromatosis
4. Kidney stones

Correct answer: 3. Hemochromatosis

Explanation: Hemochromatosis is an iron storage disorder that can cause cirrhosis (with increased risk of hepatocellular carcinoma), skin pigmentation, pancreatic damage leading to diabetes mellitus, and congestive heart failure. These complications are due to damage caused by deposition of iron in tissues; the total body iron in some of these individuals may reach 50 g, large enough to set off some airport metal detectors. Argyria is a blue-gray skin discoloration related to silver poisoning. Neither gallstones nor kidney stones contain metal. Ref: Wyatt C., Kemp W.L., Moos P.J., Burns D.K., Brown T.G. (2008). Chapter 6. Genetic Disorders. In C. Wyatt, W.L. Kemp, P.J. Moos, D.K. Burns, T.G. Brown (Eds), Pathology: The Big Picture.